Which of the following doesn't come under section 320 of IPC?
1. Dislocation of a tooth
2. Emasculation
3. Any hurt which endangers life
4. Any hurt which leaves the person bed ridden for 5 days

Correct answer: 4. Any hurt which leaves the person bed ridden for 5 days

Explanation: If a person is unable to follow his ordinary pursuits for a period of 20 days as a result of the injury it becomes grievous hurt (Section 320 IPC). Ref: Essentials of Forensic Medicine and Toxicology by Narayan Reddy, 21st Edition, Page 244.